The most cost-effective family planning method is-
1. Vasectomy
2. Barrier method
3. DMPA
4. Oral pills

Correct answer: 1. Vasectomy

Explanation: Vasectomy and IUD are one of the most cost-effective methods of contraception. Most important demographic fertility indicator is -NRR. To achieve NRR-1, CPR should be >60%, ideal contraception is sterilization .